Modafinil is approved by FDA for treatment of all except:
1. Obstructive sleep apnea syndrome (OSAS)
2. Shift work syndrome (SWS)
3. Narcolepsy
4. Lethargy in depression

Correct answer: 4. Lethargy in depression

Explanation: Modafinil is FDA approved for: Narcolepsy Shift work sleep disorder As an adjunct in obstructive sleep apnea.